Derivative of third pharyngeal pouch is:
1. Thymus
2. Inferior parathyroid gland
3. Both of the above
4. None of the above

Correct answer: 3. Both of the above

Explanation: In the fifth week, epithelium of the dorsal region of the third pouch differentiates into the inferior parathyroid gland, while the ventral region forms the thymus. Ref: Langman's embryology 11th edition Chapter 16.